False regarding acanthosis nigricans is
1. Prognostic indicator
2. Velvety plaques on dirty hyperpigmentation
3. Confirmatory sign of malignancy
4. Gastric adenocarcinma is commonest malignant association

Correct answer: 3. Confirmatory sign of malignancy

Explanation: C. i.e. Confirmatory sign of malignancy